Increased IgA deposits are seen in:
1. Henoch Schonlein Purpura
2. Minimal Change Glomemlonephritis
3. Chronic Pyelonephritis
4. Haemolytic Uremic Syndrome

Correct answer: 1. Henoch Schonlein Purpura

Explanation: Answer is A (Henoch schonlein purpura) : Renal manifestations in henoch schonlein purpura are very similar to those in IgA nephropathy. IgA is deposited in the glomerular 4esangium in a distribution similar to IgA nephroputbi Renal manifestations of Henoch Schonlein Purpura include: Haematuria (gross or microscopic), proteinuria, and nephrotic syndrome. Rapidly progressive G.N. may be seen. The difficulty in isolating cases of Henoch schonlein purpura from those of Ig A nephropathy has led to the notion that these are spectra of the same disease.